Golf-hole ureter is seen in
1. Ureteric calculus
2. Ureteral polyp
3. Tuberculosis of ureter
4. Retroperitoneal fibrosis

Correct answer: 3. Tuberculosis of ureter